A 30 year old female epileptic on phenytoin, developed weakness and fatigue. Blood examination revealed Hb = 4.6 gm. MCV = 102 fl and MCH = 40 pg/dl. What is the most probable diagnosis
1. Heart failure
2. Iron deficiency anemia
3. Phenytoin induced agranulocytosis
4. Megalobalstic anemia.

Correct answer: 4. Megalobalstic anemia.

Explanation: Ans. is 'd' i.e. Megaloblastic anaemiaNormal valuesMCU- 86 - 98 fLMCH- 28 - 33 pg/cellHb (female) - 12-16 gm/dLLab finding in this pt. go in favour of megaloblastic anemia. H/O phenytoin intake is also suggestive of same.